Muscle involved during recording of retromylohoid area?
1. Mylohyoid
2. Mylohyoid & Pterygoids
3. Medial & lateral pterygoids
4. Superior constrictor & medial pterygoid

Correct answer: 4. Superior constrictor & medial pterygoid